Bromocriptine is used in following clinical situations except ?
1. Type II DM
2. Hepatic Coma
3. Cyclical mastalgia
4. Hypoprolactinemia

Correct answer: 4. Hypoprolactinemia

Explanation: Ans. is `d' i.e., Hypoprolactinemia Uses of Bromocriptive Bromocriptine is a powerful dopamine agonist. It suppresses prolactin secretion while promoting secretion of gonadotropins. Its therapeutic uses are: Suppression of lactation in galactorrhea Cyclical mastalgia Induction of ovulation in anovulatory infertility caused by hyperprolactinemia Parkinsonism Acromegaly due to small pitutary tumours Hepatic coma Recently, it has been approved for treatment of type 2 DM.